Half–life of lithium is:
1. 8 hours
2. 16 hours
3. 24 hours
4. 36 hours

Correct answer: 3. 24 hours